Which of the following viral infections is transmitted by tick ?
1. Japanese encephalitis
2. Dengue fever
3. kyasanur forest disease (KFD)
4. Yellow fever

Correct answer: 3. kyasanur forest disease (KFD)

Explanation: Ans is 'c' i.e., Kyanasur Forest disease KFD is a febrile disease associated with haemorrhages caused by an arbovirus flavivirus and is transmitted to man by bile of infective hard ticks.